Hyalinisation of the periodontal Ligament, due to excessive orthodontic forces results in
1. Frontal resorption
2. Undermining resorption
3. Cementum remaining intact
4. Dentine remaining intact

Correct answer: 2. Undermining resorption